Which of the following is Climber's muscle ?
1. Serratus anterior
2. Lattissimus Dorsi
3. Rhomboidus major
4. Subscapularis

Correct answer: 2. Lattissimus Dorsi

Explanation: Ans. is 'b' i.e., Lattissimus DorsiLattissimus Dorsi is sometimes referred as the 'Climber' s muscles' as it comes in visible action in climbing up the trees, so also in swimming and rowing.